Which of the following is the treatment of choice for Atrial fibrillation in patients with WPW syndrome who are hemodynamically unstable
1. Procainamide
2. Digoxin
3. DC Cardioversion
4. Radio-frequency ablation of the bypass tract

Correct answer: 3. DC Cardioversion

Explanation: Administration of AV nodal-blocking agents including oral or intravenous verapamil, diltiazem, beta block- ers, intravenous adenosine, and intravenous amiodarone are contra- indicated. Preexcited tachycardias should be treated with electrical cardioversion or intravenous procainamide or ibutilide, which may terminate or slow the ventricular rate. Ref Harrison 20th edition pg 1532